Which of the following anaemias is a risk factor for the development of gastric carcinoma ?
1. Pernicious anaemia
2. Megaloblastic anaemia
3. Aplastic anaemia
4. Haemolytic anaemia

Correct answer: 1. Pernicious anaemia

Explanation: Ans. is 'a' i.e., Pernicious anaemia